What is true regarding sulfasalazine?
1. Active moiety is 5 amino salicylic acid in ulcerative colitis
2. Inactive moiety is 5 amino salicylic acid in ulcerative colitis
3. Inactive moiety in rheumatoid arthritis is Sulfapyridine
4. It gets activated in the stomach

Correct answer: 1. Active moiety is 5 amino salicylic acid in ulcerative colitis

Explanation: Around 90% of a dose of sulfasalazine reaches the colon, where most of it is metabolized by bacteria into sulfapyridine and mesalazine (also known as 5-aminosalicylic acid or 5-ASA).5 ASA is the active moiety produced in the colon in U.Colitis.In rheumatoid arthritis the active moiety is sulphapyridine.Ref: Katzung 13th ed. Pg: 1072